True about Visual analog Scale
1. Type of scale used for ABO Blood group
2. Used for Measurement of Pain
3. Also known as Like scale
4. Used for only two variables data

Correct answer: 2. Used for Measurement of Pain

Explanation: Visual Analog Scale: Used for Measurement of Pain 10 cms (0-100 mm) long plastic scale Used when pt is illiterate, in ICU, under anesthesia, pediatric pts.